True regarding blood group A
1. Can be safely transfused with blood group AB
2. Will have only A offsprings if the partner is A
3. Can receive safe O group transfusion
4. Irrespective of the partner, all the child would be A group

Correct answer: 3. Can receive safe O group transfusion

Explanation: . Can receive safe OA group transfusion